A young lady was admitted after taking overdose of diazepam after broken affair. She has history of slitting her wrist previously. Most likely diagnosis is
1. Narcisstic Personality Disorder
2. Dependent P.D.
3. Borderline P.D.
4. Histirionic P.D.

Correct answer: 3. Borderline P.D.

Explanation: C i.e. Border line Personality disorderIn Personality disorders - that onset can be traced back atleast to adolescence or early adulthood; the behaviour deviates markedly from the expectations of individual culture, is inflexible & pervasiveQ across a broad range of personal & social situations.